Risk factors for Anal carcinoma is
1. HPV
2. Smoking
3. Ca. Cervix
4. All of the above

Correct answer: 4. All of the above